VDRL test for diagnosis of syphilis is an example for
1. Precipitation test
2. Agglutination
3. Immunofluorescence
4. Flocculation

Correct answer: 4. Flocculation

Explanation: VDRL- Flocculation test Though flocculation also is a type of precipitation, flocculation is ideal for VDRL In which floccules are suspended after formation of antigen-antibody complex Ref: Textbook of Microbiology Baveja 5th ed Pg 120